Under the National Rural Health Mission, an ASHA will receive financial remuneration for all of the following except:
1. Institutional deliveries
2. Measuring the birth weight of neonates
3. Zero dose of DPT and OPV
4. Registration of births

Correct answer: 3. Zero dose of DPT and OPV

Explanation: Answer- C. Zero dose of DPT and OPVASHA Payments under Janani Suraksha Yojana (JSY): On 45th Day6 visits in institutional deliveries (Day 3, 7, 14,21,28,42)7 visits in home deliveries (Day 1, 3,7,14,21,28, 42)Birth weight recordImmunized with BCG, first dose of OPV & DPTBirth registrationMother & child are safeOther ASHA PaymentsInstitutional deliveriesArrange transport of AN motherEscort AN mother to facilityCompleted immunization upto 1 & 2 years of agePulse polio immunizationFamily planning servicesSanitary napkins to adolescent girlsPromote use of sanitary toiletsDOTS providerLeprosy treatmentPeripheral smear for malariaMalaria treatment